The common presentation of duct papilloma of the breast is
1. Bloody nipple discharge
2. Mass in breast
3. Breast eczema
4. Pagets disease

Correct answer: 1. Bloody nipple discharge

Explanation: True polyps of epithelium lined breast ducts Benign and not precancerous Solitary and located under areola Less than 1 cm in size and can grow up to 4-5 cms Most common presentation is bloody nipple discharge
Treatment - excision of duct along with tumor known as duct excision